Serious infections can occur when absolute neutrophil count decreases to?
1. Less than 500/mL
2. Less than 800/mL
3. Less than 1000/mL
4. Less than 1500/mL

Correct answer: 1. Less than 500/mL

Explanation: a. Less than 500/mL(Ref: Nelson's 20/e p 1048, Ghai 8/e p 357)Serious infections are most likely when the neutrophil count falls below 500 per mm3.